DOC for infantile spasms
1. ACTH
2. Phenytoin
3. Phenobarbitone
4. Carbamazepine

Correct answer: 1. ACTH

Explanation: ACTH is the drug of choice for infantile spasms and vigabatrin is DOC for infantile spasms with tuberous sclerosis. Ref: KD Tripathi 8th ed.